All are features of ethambutol toxicity, except ?
1. Retrobulbar neuritis
2. Colour vision defects
3. Hyperuricemia
4. Hypercalcemia

Correct answer: 4. Hypercalcemia

Explanation: Ans. is 'd' i.e., Hypercalcemia